Glomerulonephritis associated with sensory neural deafness are features of -
1. Alport's syndrome
2. Nail patella syndrome
3. Down's syndrome
4. Fabry's syndrome

Correct answer: 1. Alport's syndrome